Hatter shake is seen in which poisoning?
1. Aluminum
2. Mercury
3. Lead
4. Arsenic

Correct answer: 2. Mercury

Explanation: Ans. (b) MercuryRef. Harrison 18/e, chapter 371